A man is given continuous testosterone.It would lead to:
1. azoospermia
2. increased sperm motility
3. increased spermatogenesis
4. increased gonadotrophins

Correct answer: 1. azoospermia

Explanation: azoospermia [Ref: Katzung Pharmacology 10/e p675; Guyton 11/e p1066; KDT 5/e p2911 "Replacement therapy in men may cause acne, sleep apnea, erythrocytosis, gynecomastia, and azoospermia. Supraphysiologic doses of androgens produce azoospermia and decrease in testicular size, both of which may take months to recover after cessation of therapy."